True regarding relationship of sac in femoral hernia with the pubic tubercle :
1. Above and lateral
2. Below and lateral
3. Above and medial
4. Below and medial

Correct answer: 2. Below and lateral

Explanation: Ans. B: Below and lateralAbdominal herniae are of the following common types:Inguinal (indirect or direct)FemoralUmbilical (congenital or acquired)EpigastricSeparation of the recti abdominisIncisionalHernia of the linea semilunaris (Spigelian hernia)Lumbar (Petit's triangle hernia)Hernial sac in indirect inguinal hernia may extend through the superficial inguinal ring above and medial to the pubic tubercle whereas in femoral hernias the sac is located below and lateral to the pubic tubercleThe indirect inguinal hernia can be summarized as follows:- It is the remains of the processus vaginalis and therefore is congenital in origin.- It is more common than a direct inguinal hernia.- It is much more common in males than females.- It is more common on the right side.- It is most common in children and young adults.The hernial sac enters the inguinal canal through the deep inguinal ring and lateral to the inferior epigastric vessels. The neck of the sac is narrow.The hernial sac may extend down into the scrotum or labium majus.A direct inguinal hernia can be summarized as follows:It is common in old men with weak abdominal muscles and is rare in women.The hernial sac bulges forward through the posterior wall of the inguinal canal medial to the inferior epigastric vessels. The neck of the hernial sac is wide.